'Torque' in orthodontics refers to:
1. The change in mesiodistal inclination of teeth
2. The change in labiolingual inclination of teeth
3. The rotation of teeth
4. None of the above

Correct answer: 2. The change in labiolingual inclination of teeth

Explanation: Clinical heights of the crowns, contact areas, their tip (mesio distal angulations) and torque (labiolingual inclination) contribute to the aesthetics of the smile. 
Therefore torque refer to the labiolingual inclination of the teeth.
Reference: Orthodontics: Diagnosis and Management of Malocclusion and Dentofacial Deformities 3rd O P Kharbanda, pdf no 789